The type of chisel with the shank and blade slightly curved is:
1. Straight chisel
2. Wedelsaedt chisel
3. Enamel hatchet
4. GMT

Correct answer: 2. Wedelsaedt chisel